A 46–years–old male patient has Cushing's syndrome that is due to the presence of adrenal tumor. Which of the following drugs would be expected to reduce the signs and symptoms of the man's disease ?
1. Betamethasone
2. Cortisol
3. Fludrocortisone
4. Ketoconazole

Correct answer: 4. Ketoconazole